All the following are true about Listeria except:
1. Catalase +ve
2. Anton test +ve
3. Non motile
4. Causes chorioamnionitis is pregnant females

Correct answer: 3. Non motile

Explanation: Listeria shows tumbling motility.